True about aminoglycosides ia all EXCEPT:
1. Are bacteriostatic
2. Distributed only extracellularly
3. Excreted unchanged in urine
4. Teratogenic

Correct answer: 1. Are bacteriostatic

Explanation: The aminoglycosides are bactericidal antibiotics, all having the same general pattern of action. ESSENTIALS OF MEDICAL PHARMACOLOGY page no.743